Which leukotriene is the adhesion factor for the neutrophil on the cell surface to attach to endothelium-(
1. B4
2. C4
3. D4
4. E4

Correct answer: 1. B4

Explanation: Ans. is 'a' i.e., B4 Note : LTB4 is a chemotactic factor